Crown completion of deciduous Mandibular lateral incisors occur
1. At birth
2. 1 ½ month after birth
3. 3 months after birth
4. 6 months after birth

Correct answer: 3. 3 months after birth